Flourosis develops when water fluoride content is above 15mg/lit but it has been observed after different studies that this flourosis can also develop in people whose staple diet is
1. Wheat
2. Rice
3. Jowar
4. Bajra

Correct answer: 3. Jowar